What do you understand by isograft?
1. Bone taken from same individual
2. Bone taken from generally similar individual
3. Bone taken from identical twin
4. None of the above

Correct answer: 3. Bone taken from identical twin